A 29-years-old male taking oral hypoglycemic drug never had ketonuria in his life. His BMI is 20.5. His grandfather had diabetes and his father who is the only son of his grandfather too had the disease. Which type of DM this person will be most likely -
1. Pancreatic
2. MODY
3. Type I
4. Type II

Correct answer: 2. MODY